A 40-year-old man presented with painless haematuria. Bimanual examination revealed a ballottable mass over the right flank. Subsequently right nephrectomy was done and the mass was seen to be composed of cells with clear cytoplasm. Areas of hemorrhage and necrosis were frequent cytogenetic analysis of this mass is likely to reveal the abnormality of-
1. Chromosome 1
2. Chromosome 3
3. Chromosome 11
4. Chromosome 17

Correct answer: 2. Chromosome 3

Explanation: Clear cell type RCC (70%): This is the most common pattern. The clear cytoplasm of tumour cells is due to the removal of glycogen and lipid from the cytoplasm during the processing of tissues Sporadic and familial (Homozygous loss of VHL gene located on chromosome 3) Ref: Textbook of pathology Harsh Mohan 6th edition page 695